Which the following is not seen in a chronic case of Sickle cell anemia -
1. Hepatomegaly
2. Pulmonary hypertension
3. Cardiomegaly
4. Splenomegaly

Correct answer: 4. Splenomegaly